Drug that do not increase QT interval:
1. Amiodarone
2. Quinidine
3. Digitalis
4. Amitryptyline

Correct answer: 3. Digitalis

Explanation: Ans is 'c' i.e. Digitalis orT Digitals causes shortening of QT intervalo Other drugs (given in options) cause prolongation of QT interval.